Fibrinogen degradation products help in detection of
1. DIC
2. Hemophilia
3. TTP
4. ITP

Correct answer: 1. DIC

Explanation: DIC - Disseminated intravascular coagulation
Multiple coagulation factors are consumed and are therefore deficient
Plasminogen bound to platelet-fibrin thrombi is converted to plasmin by plasminogen activators
Plasmin cleaves fibrinogen as well as fibrin to generate fibrin degradation products.